Fluid levels are not visible in
1. Meconeum ileus
2. Intussusception
3. Colon pouch
4. Duodenal obstruction

Correct answer: 1. Meconeum ileus

Explanation: In meconium ileus meconium is so thick that it is unable to form air-fluid level despite complete small intestinal obstruction (Note the multiple air-fluid level is a feature of mechanical small bowel obstruction & paralytic ileus).